M/c glial tumor-
1. Ependymomas
2. Astrocytoma
3. Meningioma
4. Neurofibroma

Correct answer: 2. Astrocytoma

Explanation: Ans. '2' i.e., Astrocytoma M/c glial tumor is Astrocytoma BUTTERFLY GLIOBLASTOMA: Glioblastoma multiforme (GBM)- fast-growing glioma, develops from star-shaped glial cells (astrocytes and oligodendrocytes). GBM- grade IV astrocytoma. WHOLE BRAIN RADIATION USE FOR IT,AS IT IS HIGHLY FATAL.